A young child, who has had abnormal development of the membranous bones has a broad skull with associated facial and dental anomalies. Which other bones is most likely to be also affected?
1. Clavicles
2. Femurs
3. Metatarsals
4. Phalanges

Correct answer: 1. Clavicles

Explanation: In a syndrome called cleidocranial dysostosis, absence of part of the clavicles accompanies a broad skull, and facial and dental anomalies. Note that you could also have answered this question by noting that of the bones listed, only the clavicles form by intramembranous ossification. The femurs, metatarsals, phalanges, and tibias are cartilaginous (formed by endochondral ossification) rather than membranous bones.